Which of the following tests is not used in the diagnosis of insulinoma?
1. Fasting blood glucose
2. Xylose test
3. C-peptide levels
4. Insulin/Glucose Ratio

Correct answer: 2. Xylose test

Explanation: Ans. (b) Xylose testRef: Blumgart 5th edn- Page 936Tests for Insulinoma:* 72 hours Fasting Blood sugar and Insulin level (Gold Standard to diagnose)* Insulin: Glucose ratio >0.4 is consistent with insulinoma* Elevated Insulin Level (>5-10microunits/ml)* Increased Serum Pro insulin* Elevated C - Peptide levels* Absent Urinary or Plasma Sulfonyl urea's (to look for Drug induced hypoglycemic episodes)* IOC to localise preoperatively - Selective Venous Sampling after arterial Calcium infusion.* IOC to localise Intraoperatively - Intra OP USG